After the death of the 78 years old male patient in a hospital , who was suffering from COPD. His relatives entered the hospital with heavy sharp weapons and damaged the hospital property and stared abusing and beating the doctor as well as his staff, Violence against a medical practitioner is considered as:
1. Non-cognizable and non-bailable offense
2. Non-cognizable and bailable offense
3. Cognizable and bailable offense
4. Cognizable and non-bailable offense

Correct answer: 4. Cognizable and non-bailable offense

Explanation: Medical protection act: The Act, covering doctors affiliated to institutions as well as independent practitioners, outlaws attacks against physicians and damage to their property. Offenders can get a jail term of up to 3 years and a fine of Rs 50,000. As per the medicare service persons and damage to property in medicare service institutions (Prevention of violence and damage or loss to property) Act , Violence against a registered medical practitioner is considered as a cognizable and non-bialable offence.